Cobra head deformity in the lower end of ureter is seen in:
1. Ureterocele
2. Vesical diverticula
3. Carcinoma of urinary bladder
4. Urethral stricture

Correct answer: 1. Ureterocele